Pencil-in-cup deformity is seen in
1. Rheumatoid Arthritis
2. Psoriatic Arthritis
3. Ankylosing spondylitis
4. Gouty Arthritis

Correct answer: 2. Psoriatic Arthritis

Explanation: (B) Psoriatic Arthritis # Psoriatic Arthritis (PsA): The peripheral and axial arthropathies in PsA show a number of radiographic features that distinguish them from RA & AS, respectively.> Characteristics of peripheral PsA include DIP involvement, including the classic "pencil-in-cup" deformity; marginal erosions with adjacent bony proliferation ("whiskering"); small joint ankylosis; osteolysis of phalangeal and metacarpal bone, with telescoping of digits; and periostitis and proliferative new bone at sites of enthesitis> Characteristics of axial PsA include asymmetric sacroiliitis